Trauma and Injury Severity Score (TRISS) includes:
1. GCS + BP + RR
2. S + ISS + Age
3. S + ISS + GCS
4. S + GCS + Age

Correct answer: 2. S + ISS + Age

Explanation: TRISS (Trauma and Injury Severity Score) : Injury Severity Score Revised Trauma Score Age Mechanism of Injury (blunt/penetrating) Ref : Bailey and love surgery text book 27th Ed.